CD 95 has a major role in
1. Apoptosis
2. Cell necrosis
3. Interferon activation
4. Proteolysis

Correct answer: 1. Apoptosis